Old male with features of jaundice, pale stools, dark urine and mass in the epigastric region. Which of the following diagnosis in unlikely?
1. Pancreatic cancer
2. Biliary cancer
3. Periampullary cancer
4. Chronic cholecystitis

Correct answer: 4. Chronic cholecystitis

Explanation: Ans. (d) Chronic cholecystitisRef: Long cases Surgery RRM* From the given details its clear the patient is obeying Courvoisier law- Jaundice + GB palpable.* So he is a case of cancer- Possible options include distal CBD, Periampullary or pancreatic head cancers with Obstruction of CBD